Which of the following cementum forms throughout the life:
1. Acellular cementum.
2. Cellular cementum.
3. Afibrillar cementum.
4. All of the above.

Correct answer: 2. Cellular cementum.